Proximal renal tubular acidosis has all the following features except
1. Hypokalemia
2. Bicarbonate wasting
3. Nephrocalcinosis
4. Hyperchloremia

Correct answer: 3. Nephrocalcinosis

Explanation: Nephrocalcinosis usually occurs in distal renal tubular acidosis